Which of the following is the most difficult pulpal or periapical pathosis to diagnose
1. Necrotic pulp
2. Chronic Pulpitis
3. Internal resorption
4. Acute alveolar abscess

Correct answer: 2. Chronic Pulpitis